Abnormal vascular patterns seen with colposcopy in case of cervical intraepithelial neoplasia  are all except
1. Punctation
2. Mosaicism
3. Satellite lesions
4. Atypical vessels

Correct answer: 3. Satellite lesions

Explanation: Abnormal vascular pattern include punctation, mosaicism and atypical vessels.